In which of following arthritis erosions are not seen -
1. Rheumatoid arthritis
2. Systemic lupus erthematosus (SLE)
3. Psoriasis
4. Gout

Correct answer: 2. Systemic lupus erthematosus (SLE)